Best treatment of subdural haemotoma in a deteriorating patient-
1. By UV Mannitol
2. Oxygenation
3. Use of steroids
4. Surgical evacuation

Correct answer: 4. Surgical evacuation